Post operative parotitis is caused by -
1. Staph aureus
2. Streptococcus
3. E.coli
4. Pneumococcus

Correct answer: 1. Staph aureus

Explanation: Ans. is 'a' i.e., Staph aureus